A perimenopausal lady with well differentiated adenocarcinoma of uterus has more than half myometrial invasion, vaginal metastasis and inguinal lymph node metastasis. She is staged as:
1. Stage IIIB
2. Stage IIIC
3. Stage IV A
4. Stage IV B

Correct answer: 4. Stage IV B

Explanation: The lady in above question has cancer spread to inguinal lymph nodes i.e. stage IVB.